In patients with hypertrophic cardiomyopathy maximum mutations are found in which gene:
1. . b - myosin heavy chain
2. Elastin
3. . a - tropomyosin
4. Troponin T

Correct answer: 1. . b - myosin heavy chain

Explanation: b - Myosin heavy chain Mutations in gene for b - Mysoin heavy chain are associated with 40% of the families with hypertrophic cardiomyopathy. Troponin T mutations - 15% of the families a - tropomyosin mutations ~5% of the families